Mental Health Act was passed in -
1. 1982
2. 1987
3. 1971
4. 1950

Correct answer: 2. 1987

Explanation: Ans. is 'b' i.e., 1987 o The Mental Health Act was passed on 22nd May, 1987.